The quadrangular space is bounded by the following structures, except the-
1. Surgical neck of the humerus
2. Long head of triceps
3. Deltoid
4. Teres major

Correct answer: 3. Deltoid

Explanation: Ans. C. DeltoidTHE QUADRANGULAR AND TRIANGULAR SPACESa. Anteriorly, the quadrangular space is bounded by subscapularis, the capsule of the shoulder joint and teres minor above, teres major below, the long head of triceps medially, and the surgical neck of the humerus laterally.b. Posteriorly, the quadrangular space is bounded above by teres minor. The axillary nerve and the posterior circumflex artery and vein pass through the space. There are two triangular spaces. The upper triangular space is bounded above by subscapularis anteriorly, teres minor posteriorly, teres major below, and the long head of triceps laterally.c. The circumflex scapular artery passes through this space. The lower triangular space (triangular interval) is bounded above by subscapularis anteriorly and teres major posteriorly; the long head of triceps medially and the humerus laterally. The radial nerve and the profunda brachii vessels pass through this space.